The sodium- potassium pump is an example of:
1. Active transport
2. Passive transport
3. Facilitated diffusion
4. Osmosis

Correct answer: 1. Active transport

Explanation: A i.e. Active transport Calcium Metabolism in mammalian cells * Concentration of intracellular Ca2+ is 100 nmol/ L and it is about 12000 times less than that in extracellular fluid.Q * Ca2+ is stored in endoplasmic reticulum and mitochondria & can be released from them to replenish cytoplasmic Ca2+ * Calcium binding proteins bind cytoplasmic Ca2+ and when activated in this fashion, bring about a variety of physiological effect. * Ca2+ enter cell - Voltage gated Ca2+ channels - Ligand gated Ca2+ channels (T & L types) - Store operated Ca2+ channels (SOCCs) * It is transport out of cell by (Active transport)Q (i) Ca2+ IP ATPase antiportQ: cause 21-1+ inside & Ca2+ outside() of membrane at the cost of hydrolysis of ATP. (ii) Na+ Ca2+ antiportQ : It is a counter transport causes 3 Na+ inside & 2Ca2+ outsideQ of membrane. * Calmodulin is Ca2+ binding protein involved in contraction of smooth muscle. * Passive transport : when molecules traverse membrane by electro mechanical gradient (Passively) * Uniport : Form of transport where only one substance is transported. * Symport: Here binding of more than one substance to transport protein & substances are transported across the membrane together. * Antiport: The transport exchange one substance for another